Aromatic enzyme complex is involved in the biosynthesis of:
1. Cholesterol
2. Adrenal hormones
3. Vitamin D3
4. Estradiol/estrogens

Correct answer: 4. Estradiol/estrogens

Explanation: Ref: Harper's Illustrated Biochemistry. 28th ed, ch. 41, pp 431.Explanation:Estrogens are formed by the aromatizadon of androgens in a complex process that involves three hydroxylation steps which require 02 and NADPH.The aromatase enzyme complex includes a P450 monooxygenaseThis enzyme complex converts Testosterone - Estradiol and Androstenodione - Estrone. Synthesis of Glucocorticoids, Aldosteone and Sex hormones in Adrenal gland